Drug of choice for the treatment of hyperthyroidism in pregnancy is:
1. Propylthiouracil
2. Radio iodine
3. Carbimazole
4. Iodides

Correct answer: 1. Propylthiouracil